Which of the following statements about Diazoxide is false?
1. It acts by opening ATP dependent K+ channels in beta cells
2. It can cause hypoglycemia
3. It can be used to treat patients with insulinoma
4. It is used as an antihypertensive agent

Correct answer: 2. It can cause hypoglycemia

Explanation: Diazoxide inhibits insulin release from beta cells and causes hyperglycemia. It acts on ATP sensitive K+ channels and causes arteriolar dilation Diazoxide is structurally a thiazide. Thiazides are diuretics which causes hyperglycemia (Ref- Essentials of medical pharmacology K D TRIPATHI 8th Edition)